Most common organism causing hemolytic uremic syndrome -
1. Campylobacter
2. Salmonella
3. Enterohemorrhagic E coli
4. Shigella

Correct answer: 3. Enterohemorrhagic E coli

Explanation: Ans. is 'c' i.e., Enterohemorrhagic E coli Hemolytic uremic syndrome is caused by -* Enterohemorrhagic E.coli (EHEC) - M.C.* Shigella dysenteriae type 1* Campylobacter* Salmonella* Drugs - Cyclosporine, Clopidogrel and Quinine